In dental burs, the angle formed between the back of the blade and the tooth surface is called as
1. Clearance angle
2. Rake angle
3. Cavosurface angle
4. Point angle

Correct answer: 1. Clearance angle